Volume of amniotic fluid needed for fetal karyotyping.
1. 10 ML
2. 20 ML
3. 2 -3 ML
4. 3 - 5 ML

Correct answer: 2. 20 ML

Explanation: 20 ML of amniotic fluid is required for fetal karyotyping.
10 ML is required for FISH.